Feature of Henoch-Scholein purpura includes -a) Occur only in elderly personb) Palpable purpurac) Thrombocytopeniad) Arthralgia
1. bd
2. d
3. ab
4. ac

Correct answer: 1. bd